Large vesicles that are >1cm in diameter is called as:
1. Vesicles.
2. Bullae.
3. Pustule.
4. None.

Correct answer: 2. Bullae.